The % of free monomer in a heat — cured acrylic resin is
1. 3% to 5%
2. 8% to 10%
3. 0.2% to 0.5%
4. 0.6% to 0.8%

Correct answer: 3. 0.2% to 0.5%